All are true for multiple myeloma except -a) Hypercalcemiab) Hyperuricemiac) ↑ Serum alkaline phosphatased) Monoclonal M bande) Bone marrow plasma cell < 5%
1. ce
2. b
3. ac
4. ae

Correct answer: 1. ce